During an epidemiological investigation, which of the following steps would most likely follow comparison of the hypothesis with the established facts?
1. Determination of who is at risk of having the health problem
2. Confirmation of the diagnosis
3. Estimation of the number of cases
4. Proposal of measures for control and prevention

Correct answer: 4. Proposal of measures for control and prevention

Explanation: Proposing measures of control and prevention should only take place after the investigation has defined the cause and determined the distribution of the population at risk. Although the exact sequence may vary, the ultimate purpose of an epidemiological investigation is to control a health problem in a community.